Hunan hand occurs due to exposure to-
1. Capsicum
2. Abrus prictorius
3. Aniline
4. Carbon monoxide

Correct answer: 1. Capsicum

Explanation: Ans. is 'a' i.e., Capsicum